Extrinsic membranes of larynx are all except
1. Cricothyroid
2. Thyrohyoid
3. Hyoepiglottic
4. Cricotracheal

Correct answer: 1. Cricothyroid

Explanation: Ans:A.)CricothyroidMembranes of the Larynx:Extrinsic membranes connect the laryngeal apparatus with adjacent structures for support.The thyrohyoid membrane is an unpaired fibro-elastic sheet which connects the inferior surface of the hyoid bone with the superior border of the thyroid cartilage.Cricotracheal membrane connects the most superior tracheal cartilage with the inferior border of the cricoid cartilage .Hyoepiglottic Ligament connecting the epiglottis to the hyoid bone.Intrinsic Membranes connect the laryngeal cartilages with each other to regulate movement.Conus Elasticus connects the cricoid cartilage with the thyroid and arytenoid cartilages.The paired Quadrangular Membranes connect the epiglottis with the arytenoid and thyroid cartilages.Cricothyroid Membrane